All the following nerves may be injured while doing excision of submandibular salivary glands except:
1. Lingual nerve
2. Spinal accessory nerve
3. Mandibular branch of facial nerve
4. Hypoglossal nerve

Correct answer: 2. Spinal accessory nerve